Arthus reaction is an example for which type of hypersensitivity?
1. Type I
2. Type II
3. Type III
4. Type IV

Correct answer: 3. Type III

Explanation: Question repeated..